Definition of surveillance:-
1. Analysis of routine measurements
2. Intermittent scrutiny of factors
3. Systemic collection and analysis of data
4. All of the above

Correct answer: 3. Systemic collection and analysis of data

Explanation: surveillance Monitoring Constant scrutiny of factors affecting a disease with attention, authority & suspicion (Systematic ongoing collection, compilation, analysis & interpretation of data) Inbuilt action component is seen Feedback is inbuilt Cyclical continuous process Broader concept Continuous overlooking of progress of health activity [performance & analysis of routine measurements aimed at detecting changes in environment or health status of population - e.g. monitoring of air pollution, water quality, and growth & nutritional status No inbuilt action component No feedback One-time linear process Smaller concept